Which of the following is not in posterior relationship to rectum:
1. Sacral vertebra
2. Superior rectal artery
3. Seminal vesicles
4. Middle rectal artery

Correct answer: 3. Seminal vesicles

Explanation: Ans. C Seminal vesiclesRef: BDC, 6th ed. vol. II pg. 408* Rectum is a 12 cm structure which is in conitunation of sigmoid colon and terminates at anal canal.Relationship of rectum AnteriorPosteriorLaterallyMales* Base of bladder* Seminal vesicles* Rectovesical pouch* Ileum* Ductus deferens* Terminal ureter* Prostate gland* S3-S5 vertebrae* Coccyx* Median sacral artery and vein* Middle rectal artery* Superior rectal artery and vein* Sigmoid colon* Ileum* Pelvic plexuses* Coccygeus muscle* Levator ani muscleFemales* Uterus* Vagina* Rectouterine pouch* Ileum* Sigmoid colonSame as for maleSame as for male